Amphotericin B toxicity can be reduced by ?
1. Incorporating it in liposomal complex
2. Combining with fluconazole
3. Combining with flucytosine
4. Injecting the drug with dextrose

Correct answer: 1. Incorporating it in liposomal complex